All are TRUE regarding lariasis except:
1. Man is an intermediate host.
2. Caused by wuchereria bancrofti
3. Involves lymphatic system
4. DEC is used in treatment

Correct answer: 1. Man is an intermediate host.

Explanation: W. Bancrofti is the most common cause of Lymphatic Filariasis in man.
Man is the definitive host for Filarial worms.
The infective stage of the parasite (microfilariae) is transmitted to the man by the bite of a mosquito, which is the intermediate host.
Microfilariae resides in the blood and the adult worm lives in the lymphatics.
The clinical manifestation of Filariasis occurs because of the inflammatory damage to the lymphatics by the Adult worm.
C/F of Filariasis
The common presentations of Lymphatic filariasis are
asymptomatic or subclinical microfilaremia,
hydrocele,
acute adeno lymphangitis and
chronic lymphatic disease.
T/T:
Diethylcarbamazine (6 mg/kg daily for 12 days is the t/t of choice for the individual with active lymphatic Filariasis)